Ticlopidine is an :
1. Antiplatelet drug
2. Antiarrhythmic drug
3. Anticoagulant drug
4. Antifibrinolytic drug

Correct answer: 1. Antiplatelet drug